Bed of tonsil is formed by
1. Superior constrictor
2. Middle constrictor
3. Inferior constrictor
4. Platysma

Correct answer: 1. Superior constrictor

Explanation: The tonsillar bed is formed by the following: Pharyngobasilar fascia Superior constrictor muscle Buccopharyngeal fascia Styloglossus muscle Glossopharyngeal nerve Ref: PL Dhingra, Diseases of Ear, Nose & Throat, 7th edition, pg no. 291